True statement regarding depolarizing neuromuscular blocking drugs is:
1. The depolarized muscles fibres are unresponsive to other stimuli
2. Causes muscular fasciculations
3. Not reversed by neostigmine
4. All of the above

Correct answer: 4. All of the above

Explanation: All the given statements are true . The depolarised muscle fibre are unresponsive to other stimuli as they bind to nicotinic receptors at motor end plate causing membrane depolarization and persistent depolarization leads to flaccid paralysis. Muscle fasiculations are seen mostly in chest and abdominal regions. Only non depolarising blockers action can be reversed by neostigmine. From padmaja 4th edition Page no 86